Which of the following causes BOTH superior and inferior rib-notching in a chest radiograph?
1. NF-1
2. Blalock Taussig shunt
3. SVC occlusion
4. Coarctation of aorta

Correct answer: 1. NF-1

Explanation: Superior rib notching -Polio -Restrictive lung disease -Neurofibromatosis -Connective tissue disease -Osteogenesis imperfecta Inferior rib notching -Thrombosis of aorta -Coarctation of aorta -Blalock Taussig shunt -Occlusion of subclavian artery -Pulmonary AV malformation Both Superior and inferior rib notching -NF-1 -Hyperparathyroidism